Vallecula sign is seen in
1. TB laryngitis
2. Vocal nodule
3. Inverted papilloma
4. Acute epiglottitis

Correct answer: 4. Acute epiglottitis

Explanation: Depressing the tongue with a tongue depressor may show red and swollen epiglottis. Indirect laryngoscopy may show oedema and congestion of supraglottic structure. This examination is avoided for fear of precipitating complete obstruction. It is better done in the operation theatre where facilities for intubation are available. Ref: PL Dhingra 7th edition of Ear, Nose and Throat; Pg no 327